Hypopigmented patches present in –
1. Nevus Ota
2. Nevus Ito
3. Nevus anemicus
4. Becker nevus

Correct answer: 3. Nevus anemicus